Rigid esophagoscopy is not done in -a) Cervical spine rigidity b) Aortic aneurysmc) Carcinoma esophagus d) Esophageal webe) Lung abscess
1. ac
2. ab
3. ad
4. bc

Correct answer: 2. ab

Explanation: Contraindications of esophagoscopy (rigid type):

Trismus
Aneurysm of aorta
Receding mandible
Advanced heart, liver, kidney diseases (relative contraindication).
Diseases of cervical spine, e.g. cervical trauma, spondylitis, TB, osteophytes, kyphosis, etc.